Basal cardiac output in an adult in nearly:
1. 7.5 litre
2. 5 litre
3. 12 litre
4. 10 litre

Correct answer: 2. 5 litre

Explanation: B i.e. 5 litre